Which is found in cortex of lymph node?
1. Lymphocyte aggregates
2. Billroth cords
3. Macrophages
4. Connective tissue

Correct answer: 1. Lymphocyte aggregates

Explanation: Within the cortex there are several rounded areas that are called lymphatic follicles or lymphatic nodules.Each nodule has a paler staining germinal centre surrounded by a zone of densely packed lymphocytes Inderbir Singh's human Histology Seventh edition Pg 132